Which of the following cranial nerves are present in the posterior fossa?
1. 3rd to 12th
2. 4th to 12th
3. 5th to 12th
4. 6th to 12th

Correct answer: 1. 3rd to 12th

Explanation: The posterior fossa, or infratentorial compartment, is formed by the occipital bone, the dorsum sellae and clivus of the sphenoid bone, and portions of the temporal and parietal bones. It contains the cerebellum, pons, medulla, and part of the midbrain. It is separated from the middle cranial fossa in and near the midline by the dorsum sellae of the sphenoid bone and on either side by the superior angle of the petrous portion of the temporal bone (petrous pyramid). Lesions in the posterior fossa may affect cranial nerves III to XII.